The following drug is a synthetic choline ester (REPEAT)
1. Nicotine
2. Pilocarpine
3. Arecoline
4. Carbachol

Correct answer: 4. Carbachol

Explanation: Remaining all are naturally obtained from plants-alkaloids-the word ends with ''inert'' Ref: KDT 7th ed pg 101